The reduction of a physiological hernia occurs at
1. 6th week
2. 7th week
3. 9th week
4. 10th week

Correct answer: 4. 10th week

Explanation: Physiological hernia appears by 6 wks and gets reduced by 10 wks . Ref - pubmed.com